The most common cardiac defects seen in congenital rubella syndrome is
1. Pulmonary artery stenosis and coarctation of aorta
2. Vantricular septal defect (VSD) and patent ductus aesian (PDA)
3. VSD and pulmonary artery stenosis
4. Pulmonary artery stenosis and PDA

Correct answer: 4. Pulmonary artery stenosis and PDA

Explanation: Common cardiac defects in congenital rubella syndrome is PDA and PS. Ghai essential of pediatrics, eighth edition, p.no:401